Anterior surface of stomach is in contact with the following ribs?
1. 4th to 7th
2. 6th to 9th
3. 7th to 10th
4. None of the above

Correct answer: 2. 6th to 9th

Explanation: The lateral part of the anterior surface is posterior to the left costal margin and in contact with the diaphragm, which separates it from the left pleura, the base of the left lung, the pericardium and the left sixth to ninth ribs.